An asthmatic patient is on theophylline suddenly developed infection, which of the following antibiotic should not be given to prevent side effects of theophylline?
1. Ampicillin
2. Erythromycin
3. Cephalexin
4. Sparfloxacin

Correct answer: 2. Erythromycin

Explanation: Erythromycin potentiates the effects of the following drugs by interfering with CYP-mediated metabolism of these drugs. Carbamazepine Corticosteroids Cyclosporine Digoxin Ergot alkaloids Theophylline Triazolam Valproate Warfarin Ref: MacDougall C. (2011). Chapter 55. Protein Synthesis Inhibitors and Miscellaneous Antibacterial Agents. In L.L. Brunton, B.A. Chabner, B.C. Knollmann (Eds), Goodman & Gilman's The Pharmacological Basis of Therapeutics, 12e.